True about nabothian cyst is all except -
1. Squamous epithelium occludes the mouth of the glands
2. It is seen in chronic irritation and inflammation
3. It is a pathology of the cervix
4. It is pre - malignant

Correct answer: 4. It is pre - malignant

Explanation: Ans. is 'd' i.e., It is pre - malignant Nabothian cvsts# Seen in chronic inflammation of cervix.# It is the result of blockage of mouth of the glands of the cervix.# During the process of healing, the squamous epithelium replaces the columnar epithelium.# The blocked glands become distended with secretion and form small cysts which can be seen with the naked eye, the so-called nabothian follicles.# The condition is neither malignant nor pre-malignant.